Acute urinary retention in a male child may be due to
1. Prostatic radiotherapy
2. Urethral stricute
3. Hysteria
4. Meatal ulcer with scabbing

Correct answer: 4. Meatal ulcer with scabbing

Explanation: Acute urinary retention in a male child may be due to local inflammatory causes like meatal ulcer with scabbing.